Which of the following NSAID has good tissue penetrability with concentration in synovial fluid ?
1. Ketorolac
2. Diclofenac sodium
3. Sulindac
4. Piroxicam

Correct answer: 2. Diclofenac sodium